Which of the folloiwng is not a labile cell ?
1. Bone marrow
2. Epidermal cells
3. Small intesting mucosa
4. Hepatocytes

Correct answer: 4. Hepatocytes

Explanation: Ans is 'd' i.e., Hepatocytes